Vitamin K dependent clotting factors include the following, EXCEPT:
1. Factor VII
2. Factor VIII
3. Prothrombin
4. Factor IX

Correct answer: 2. Factor VIII

Explanation: Factors II (prothrombin), VII, IX, and X require vitamin K for their synthesis. Vitamin K is required for the posttranslational carboxylation of glutamic acid, which is necessary for calcium binding to gamma-carboxylated proteins such as prothrombin (factor II); factors VII, IX, and X; protein C; protein S; and proteins found in bone (osteocalcin) and vascular smooth muscle (e.g., matrix Gla protein). Warfarin-type drugs inhibit gamma-carboxylation by preventing the conversion of vitamin K to its active hydroquinone form. Ref: Weitz J.I. (2011). Chapter 30. Blood Coagulation and Anticoagulant, Fibrinolytic, and Antiplatelet Drugs. In B.C. Knollmann (Ed), Goodman & Gilman's The Pharmacological Basis of Therapeutics, 12e.